Ketamine acts an which receptors
1. GAGA
2. Muscarinic
3. 5-HT4
4. NMDA

Correct answer: 4. NMDA

Explanation: Ans. is 'd' i.e., NMDA See explanation- 5 of session- 2 of Anaesthesia of All India 2014-15 pattern of this book